Kennedy phenomenon is seen in-
1. Road traffic accident
2. Gunshot injury
3. Burns
4. Contusion

Correct answer: 2. Gunshot injury

Explanation: Kennedy phenomenon- surgical alteration or suturing of gunshot wound creates problem.
The evaluation of the gunshot wound, whether it was an entrance or an exit wound becomes difficult.